Taste sensation of anterior two third of tongue is carried by?
1. Facial nerve
2. Glossopharyngeal nerve
3. Lingual nerve
4. Vagus nerve

Correct answer: 1. Facial nerve

Explanation: ANSWER: (A) Facial nerveREF: Gray's anatomy 39th edition page 588Repeat from December 2009 General sensationTaste sensationAnterior 2/3rdLingual nerveChorda tympani (branch of facial)Posterior 1/3 rdGlossopharyngeal nerveGlossopharyngeal nervePosterior mostVagus nerveVagus nerve